Which amino acid undergoes hepatic deamination?
1. Alanine
2. Glutamate
3. Aspartate
4. Glycine

Correct answer: 2. Glutamate

Explanation: Ans: B (Glutamate) Ref: Harper's Illustrated Biochemistry, 26th edition. Pg 244.Explanation:"Since alanine is also a substrate for glutamate aminotransferase, all the amino nitrogen from amino acids that undergo transamination can be concentrated in glutamate. This is important because L- glutamate is the only amino acid that undergoes oxidative deamination at an appreciable rate in liver & kidney. " (Ref: Harper)BIOSYNTHESIS OF UREAUrea biosynthesis occurs in four stages:TransaminationOxidative deamination of glutamateAmmonia transportReactions of the urea cycle